Early change of pulmonary edema in CXR:
1. Batswing appearance
2. Pleural effusion
3. Kerley B lines
4. Ground gram lung field

Correct answer: 3. Kerley B lines

Explanation: Ans. Kerley B lines